Bilateral parotid enlargement does not occur in -
1. Sjogren's syndrome
2. Sarcoidosis
3. SLE
4. Chronic pancreatitis

Correct answer: 3. SLE